Monro's abscesses are seen in all of the following except:
1. Psoriasis.
2. Pemphigus.
3. Reiter syndrome.
4. Benign migratory glossitis.

Correct answer: 2. Pemphigus.